Prominent x descent in JVP is seen in all except
1. Cardiac tamponade
2. Atrial septal defect
3. Tricuspid regurgitation
4. Constrictive pericarditis

Correct answer: 3. Tricuspid regurgitation

Explanation: In tricuspid regurgitation x descent is absent. X descent is due to atrial relaxation during atrial diastole.